Lynching is a type of:
1. Homicidal hanging
2. Suicidal hanging
3. Judicial hanging
4. Accidental hanging

Correct answer: 1. Homicidal hanging

Explanation: Ans. Homicidal hanging